In urea cycle, hydrolysis occurs during:
1. Cleavage of Arginine
2. Cleavage of ornithine
3. Formation of Argininosuccinate
4. Formation of citrulline

Correct answer: 1. Cleavage of Arginine

Explanation: Arginase the final enzyme of urea cycle is a hydrolase i.e. it uses water to break the bond in arginine It breaks arginine into urea and ornithine Urea is transported to kidneys from liver blood and then excreted in urine